Dopamine at 1-2 Microgram/ Kg/ min produces?
1. Renal vasodilatation
2. Positive ionotropic effect
3. Mesenteric vasoconstriction
4. Generalised vasoconstriction

Correct answer: 1. Renal vasodilatation

Explanation: Ans. is 'a' i.e., Renal vasodilatation Dopamine produces dose dependent action: At low dose (1-2 ug/kg/min) causes dilation of renal and mesentric vessels - often referred as renal dose. At moderately high dose (2-10 ug/kg/min) produces a positive ionotropic effect by stimulating b1 receptor on heart - cardiac dose. At high doses (> 10 ug/kg/min) produces vasoconstriction by stimulating a1 receptors - vascular dose.